Labyrinthine artery is a branch of-
1. Internal carotid artery
2. Basilar artery
3. Posterior cerebellar artery
4. Anterior inferior cerebellar artery

Correct answer: 4. Anterior inferior cerebellar artery

Explanation: Labyrinthine artery is a branch of anteroinferior cerebellar artery but can sometimes arise from basilar artery.
It supplies whole of the inner ear.